The supporting cells of the testes are the following?
1. Spermatogonia
2. Leydig cells of testes
3. Cells of Sertoli
4. Spermatids

Correct answer: 3. Cells of Sertoli

Explanation: All cells of the spermatogenic lineage are closely associated with the extended surfaces of Sertoli cells and depend on them for metabolic and physical support. Each Sertoli cell supports 30 to 50 developing germ cells. Important in Sertoli cell function are elaborate tight occluding junctions between their basolateral membranes that form a blood-testis barrier within the seminiferous epithelium.